Superficial perineal muscles include?
1. Iliococcygeus
2. Ischiococcygeus
3. Bulbospongiosus
4. Levator ani

Correct answer: 3. Bulbospongiosus

Explanation: Superficial muscles of perineum (lie in superficial perineal pouch) are ischiocavernosus, bulbospongiosus and superficial transverse perinei. Deep muscles (lie in deep perineal pouch) are splincter urethrae, deep transverse perinei, and in females, compression urethrae and sphincter urethravaginalis.